For the determination of Threshold for diagnosis, which among these test is the best?
1. ROC curve
2. Analysis of variants
3. Pre-test probability
4. Person Co-efficient

Correct answer: 1. ROC curve

Explanation: Receiver Operator Characteristic curve.